Which of the following is not a pro-inflammatory cytokine?
1. IL-1
2. TNF alpha
3. IL-4
4. IL-8

Correct answer: 3. IL-4

Explanation: Proinflammatory cytokines include interleukin-1 (IL-1), tumour necrosis factor alpha (TNFa), IL-6 and IL-8Counterinflammatory response regulated by IL-4, -5, -9 and-13 and transforming growth factor beta )Ref: Bailey and love 27e pg: 3,4